A 2 year old child is brought to the hospital with a compressible swelling at the root of nose, most likely diagnosis is:
1. A V malformation
2. Lacrimal sac cyst
3. Ethmoid sinus cyst
4. Meningoencephalocele

Correct answer: 4. Meningoencephalocele

Explanation: Lacrimal sac cyst occurs as a compressible swelling near the medial canthus and not root of nose. Ethmoid cyst (mucocele) presents as a swelling at the medial quadrant of orbit pushing the orbit forwards and laterally. AV malformation is a congenital abnormal connection between arteries and veins, bypassing the capillary system.These are largely found in internal organs and is rare at this site.